In the treatment of hydatid cyst, PAIR is contraindicated in
1. Lung cyst
2. Size >5 cm
3. Not amenable to treatment with albendazole
4. Multiple

Correct answer: 1. Lung cyst

Explanation: Contraindication to PAIR Inaccessible location Pulmonary hydatid cyst Complicated cyst( communicating with biliary tract)